Surgical scissors left in abdomen is covered under which doctrine ?
1. Res ipsaloquitor
2. Medical maloccurance
3. Therapeutic misadventure
4. Novus actusinterveniens

Correct answer: 1. Res ipsaloquitor

Explanation: Ans. is 'a' i.e., Res ipsaloquitor